Patients with C5 through C9 complement deficiencies would be most likely to have which of the following infections?
1. AIDS
2. Meningococcal infection
3. Pneumococcal infection
4. Giardiasis

Correct answer: 2. Meningococcal infection

Explanation: Patients with complement deficiencies such as C5 through C9, which form the membrane attack complex (MAC), are predisposed to disseminated meningococcal disease. These patients may also be susceptible to gonococcal infection. There appears to be no disposition to AIDS or to fungal, parasitic, or pneumococcal infections.